Addison's disease is characterized by following except-
1. Hyperkalemia
2. Hypotension
3. Hyponatremia
4. Hvnncalcemia

Correct answer: 4. Hvnncalcemia

Explanation: there is hyper pigmentation, asthenia, hypotension,hyperkalemia, hyponatremia Ref -( Harrison 17 pg 2263)